Dorsalis pedis artery is the continuation of-
1. Anterior tibial artery
2. Posterior tibial artery
3. Popliteal artery
4. Lateral tarsal artery

Correct answer: 1. Anterior tibial artery

Explanation: Anterior tibial artery continues on dorsum of foot as Dorsalis pedis artery.